Salicylate intoxication is characterized by all of the following, EXCEPT:
1. Hyperventilation
2. Hypoprothrombinemia
3. Hypothermia
4. Metabolic acidosis

Correct answer: 3. Hypothermia

Explanation: Salicylate intoxication is associated with hyperthermia and not hypothermia, as the drug causes uncoupling of oxidative phosphorylation, resulting in increased metabolism. Mild chronic salicylate intoxication is called salicylism. When fully developed, the syndrome includes headache, dizziness, tinnitus, difficulty hearing, dimness of vision, mental confusion, lassitude, drowsiness, sweating, thirst, hyperventilation, nausea, vomiting, and occasionally diarrhea. Ref: Grosser T., Smyth E. (2011). Chapter 34. Anti-inflammatory, Antipyretic, and Analgesic Agents; Pharmacotherapy of Gout. In L.L. Brunton, B.A. Chabner, B.C. Knollmann (Eds), Goodman & Gilman's The Pharmacological Basis of Therapeutics, 12e.